Glutamate is NOT a precursor of:
1. GABA
2. Proline
3. Glutathione
4. Histidine

Correct answer: 4. Histidine

Explanation: Glutamate It is one of the most metabolically active of all amino acids. It is a precursor to: Glutamine, Arginine, Creatine phosphate, Proline, Hydroxyproline, Polyamines, Glutathione, and Gamma-aminobutyric acid (GABA). GABA, is a neurotransmitter, and is also involved in the synthesis of glutathione. In addition, glutamate itself is a neurotransmitter.